All of the following Vibrio sp. are halophilic,except -
1. V. cholerae
2. V. parahaemolyticus
3. V. alginolyticus
4. V. fluvialis

Correct answer: 1. V. cholerae

Explanation: Examples of Halophilic Vibrio –V. alginolyticus, V. parahemolyticus, V. vulnificus & V. fluvialis
Examples of Non Halophilic Vibrio – V. cholerae and V. mimicus